Risk of malignancy in cold nodule of thyroid is
1. 0.10%
2. 2%
3. 20%
4. 30%

Correct answer: 3. 20%

Explanation: Risk of malignancy in hot nodule is 4%.
Risk of malignancy in cold nodule is 20%.